At which of the following levels the predominant regulation of gene expression of both prokaryotes and eukaryotes take place?
1. DNA replication
2. Transcription
3. Translation
4. Post-translational

Correct answer: 2. Transcription

Explanation: Expression of a functional gene product from genes is the gene expression. The functional product is not always proteins. Non-protein coding genes are also expressed as functional RNAs (tRNA, snRNA, miRNA etc.) Regulation of gene expression occurs at transcriptional level in both prokaryotes and eukaryotes.